Inversion & Eversion of foot occurs at which joint?
1. Subtalar joint
2. Tibiotalar joint
3. Inferior tibiofibular joint
4. Tarso-metatarsal joint

Correct answer: 1. Subtalar joint

Explanation: #NAME?